High FMA angle indicates
1. Good prognosis
2. Bad prognosis
3. Good bone growth
4. Class III relation

Correct answer: 2. Bad prognosis